Most common psychiatric disorder after stroke is?
1. Anxiety
2. Depression
3. Mania
4. Bipolar disorder

Correct answer: 2. Depression

Explanation: Ans. is 'b' i.e., Depression Frequency of post storke psychiatric disorder* Depression: 35%* Catastrophic reaction: 20%* Anxiety disorder: 25%* Mania: rare* Apathy: 20%* Bipolar disorder: rare* Pathologic affect 20%* Psychosis: rare